Adequacy of D-penicillamine treatment in wilson is monitored by measuring the:
1. 24 hour urinary copper
2. Serum ceruloplasmin
3. Disappearance of KF ring
4. Serum copper level in the fasting state

Correct answer: 1. 24 hour urinary copper

Explanation: D-Penicillamine treatment in wilson disease: Adequacy of treatment is monitored by measuring 24-hour urinary copper excretion while on treatment. The most important sign of efficacy is a maintained clinical and lab improvement. Serum ceruloplasmin decrease after initiation of treatment. Ref: Journal of Hepatology 2012 vol. 56 / 671-685.